Lichen planus all are true except -
1. Pruritic lesion
2. Involves nails
3. Involves mucus membranes
4. Steroid is not used in treatment

Correct answer: 4. Steroid is not used in treatment

Explanation: Ans. is 'd' i.e., Steroid is not used in treatment